The point at which the chlorine demand of water is met
is termed
1. Break point
2. Back wash
3. Loss of head
4. Chlorine demand

Correct answer: 1. Break point